A child is not eating vegetables. His mother stas giving a chocolate each time he finishes vegetables in the diet. This method comes under which of the following?
1. Operant conditioning
2. Classical conditioning
3. Social training
4. Negative reinforcement

Correct answer: 1. Operant conditioning

Explanation: Operant Conditioning Procedures for Increasing BehaviourThe common methods for augmenting an adaptive behaviour include:i. Positive reinforcement: Here, the desired behaviour is reinforced by a reward, either material or symbolic ii. Negative reinforcement: Here, on the performance of the desirable behaviour, punishment can be avoided. iii. Modelling: The person is exposed to 'model' behaviour and is induced to copy it. This can also be used to avoid ceain behaviours. Ref: A Sho Textbook of Psychiatry, Niraj Ahuja, 7th Edition, pg. no. 215